The vessel which needs to be ligated in a patient with a bleeding peptic ulcer is
1. Gastroduodenal artery
2. Superior pancreatico-duodenal artery
3. Left gastric artery
4. Left gastroepiploic artery

Correct answer: 1. Gastroduodenal artery

Explanation: The most common site of bleeding from a peptic ulcer is the duodenum. Gastroduodenal artery, which is the common source of major bleedingBailey and love pg: 1126